Tinea pedis is caused by which of the following -
1. E. floccosum
2. M. furfur
3. M. canis
4. E. werneckii

Correct answer: 1. E. floccosum

Explanation: Tinea pedis ( Athlete foot ) - Infection of web space between the toes Caused by Epidermophyton floccosum